Most common primary intracranial tumour producing neuro ophthalmological feature
1. Sebaceous gland carcinoma
2. Papilloma
3. chromo phobe adenoma
4. Uveal melanoma

Correct answer: 3. chromo phobe adenoma

Explanation: Chromophobe adenoma - M/c primary intracranial tumour producing neuroophthal features.